Treatment of Multiple Carboxylase Deficiency is:
1. Biotin
2. Pyridoxine
3. Thiamine
4. Folic acid

Correct answer: 1. Biotin

Explanation: Multiple carboxylase deficiency is a group of disorder resulting from defective utilization of biotin.Since biotin is a coenzyme for carboxylase enzymes (carboxylation), it results in malfunction of all carboxylases and organic acedimia. It is treated by biotin